Medium term intervention for Vitamin A prophylaxis is -
1. Measles immunization
2. Vit A supplementation
3. Fortification of food
4. Green leafy vegetables

Correct answer: 3. Fortification of food

Explanation: Ans. is 'c' i.e., Fortification of food Pre% cntion and control of Xerophthalmia ort is an integral part of primary health care. An overall strategy can be defined according to WHO in terms of short term, medium term & long term action. a. Short term action : o A short term preventive approach is administration of large doses of vit A orally in recommended doses to vulnerable groups. o The recommended doses are o New Born o Children < 12 100000 LU Once every 4-6 months